Which of the following drugs causes constipation ?
1. Propranolol
2. Verapamil
3. Nitroglycerin
4. Captopril

Correct answer: 2. Verapamil